During Intervertebral disc prolapse, which part of the disc prolapses in spinal canal?
1. Annulus Fibrosis
2. Nucleus fibrosis
3. Annular Pulposus
4. Nucleus Pulposus

Correct answer: 4. Nucleus Pulposus

Explanation: Ans. D. Nucleus Pulposusa. Intervertebral disc is made up of two partsb. Outer-Annulus fibrosusc. Inner- Nucleus pulposusd. It is the central part of the disc i.e. nucleus pulposus, which prolapses into the spinal canal.